In spinal anesthesia, the needle is piereced upto -
1. Subdural space
2. Extradural space
3. Epidural space
4. Subarachnoid space

Correct answer: 4. Subarachnoid space

Explanation: Subarachinoid space, between pia and arachnoid